Highest density of cones are present in
1. Fovea
2. Ora serrata
3. Optic nerve
4. Parsplana

Correct answer: 1. Fovea

Explanation: The highest density of cones is present in fovea which helps in clear vision when fixation object image falls there. In the fovea, cone density increases almost 200-fold, reaching, at its center, the highest receptor packing density anywhere in the retina. This high density is achieved by decreasing the diameter of the cone outer segments such that foveal cones resemble rods in their appearance. Reference: Aravind FAQS in Ophthalmology; First Edition; Page no: 15